Structures passing through superior orbital fissure:
1. Oculomotor nerve
2. Trochlear nerve
3. Lacrimal nerve
4. All

Correct answer: 4. All

Explanation: A. i.e. Oculomotor nerve; B i.e. Trochlear nerve; C i.e. Lacrimal nerve